PET scan uses –
1. 2–Fluorodeoxyglucose
2. Technetium
3. Chromium
4. Cobalt

Correct answer: 1. 2–Fluorodeoxyglucose

Explanation: Fluorodeoxyglucose is a radiopharmaceutical used in medical imaging modality positron emission tomography (PET).